Antimitochondrial antibodies are found in 90% of patients with
1. Primary biliary cirrhosis
2. Chronic active hepatitis
3. Seminoma
4. Choriocarcinoma

Correct answer: 1. Primary biliary cirrhosis

Explanation: The most characteristic immunologic abnormality associated with primary biliary cirrhosis is the presence of antimitochondrial antibodies, which are found in 90% of affected individuals.This antibody is predominantly IgG. Antimitochondrial antibodies also can be detected in persons with other liver diseases but with a much lower frequency (less than 10%) and usually in low titer.